Middle meningeal artery is a branch of :
1. Middle cerebral artery
2. Maxillary artery
3. Superficial temporal artery
4. Vertebral artery

Correct answer: 2. Maxillary artery

Explanation: B i.e Maxillary artery